The most common cause of heterosexual development in a female at the expected age of puberty is-
1. Congenital Adrenal hyperplasia
2. Pure gonadal dysgenesis
3. Polycystic ovarian syndrome
4. Complete androgen insensitivity syndrome

Correct answer: 3. Polycystic ovarian syndrome

Explanation: Heterosexual puberty is characterized by a pattern of development that is typical of the opposite sex occurring at the expected age of normal puberty. The most common cause of heterosexual development at the expected age of puberty is polycystic ovary syndrome The most common cause of precocious puberty is constitutional (idiopathic), but more serious causes must be ruled out and therapy geared toward optimizing adult height...